Best investigation modality for gallbladder
1. OCG
2. PTC
3. Ultrasound
4. Intravenous cholangiogram

Correct answer: 3. Ultrasound

Explanation: USG is the investigation of choice for Calculous cholecystitis Chronic cholecystitis Cholelithiasis Ref: Sabiston 20th edition Pgno : 1487